Celiac disease associated with:
1. Dermatitis herpetiformis
2. Type I DM
3. Lymphoma
4. All of the above

Correct answer: 4. All of the above

Explanation: Answer is D (All of the above): Celiac disease may be associated with Dermatitis Herpetiformis and other autoimnmune diseases including type I D.M and Atrophic gastritis. It is also associated with increased risk of cancer including Lymphomas.